Panic attack is characterized by all of the following except:
1. Felling of impending doom
2. Auditory hallucinations
3. Trembling
4. Shortness of breath

Correct answer: 2. Auditory hallucinations

Explanation: Ans. B. Auditory hallucinationsDiagnostic criteria for panic attack - A discrete period of intense fear or discomfort, in which four or more of the following symptoms developed abruptly and reached a peak within 10 min.1. Palpitations, pounding heart or accelerated heart rate.2. Sweating.3. Trembling or shaking.4. Sensations of shortness of breath of smothering.5. Feeling of choking.6. Chest pain or discomfort.7. Nausea or abdominal distress.8. Feeling dizzy, unsteady, lightheaded or faint.9. Derealization (feeling of unreality) or depersonalization (being detached from oneself)10. Fear of losing control or going crazy.11. Fear of dying.12. Parenthesis (numbness or tingling sensations).13. Chills or hot flushes.